Medial border of Hesselbach's triangle is formed by:
1. Linea alba
2. Linea semilunaris
3. Inferior epigastric artery
4. Conjoint tendon

Correct answer: 2. Linea semilunaris

Explanation: Ans. (b) Linea semilunarisRef: Gray's 41st edn/1080-81; Keith L Moore clinical anatomy 4thed/ 193-4# HESSELBACH'S TRIANGLE* Medial border: Lateral margin the rectus sheath, also called linea semilunaris* Superolateral border: Inferior epigastric vessels* Inferior border: Inguinal ligament, sometimes referred to as Pouparts ligament.